Millennium Development goals are to be achieved by:
1. 2005
2. 2010
3. 2015
4. 2020

Correct answer: 3. 2015

Explanation: Ans: C i.e. 2015 Governments have set a date of 2015 by which they would meet the Millennium Development Goals/ MDGs, i.e. eradicate extreme poverty and hunger; achieve universal primary education; promote gender equality; improve maternal health; combat HIV/ AIDS, malaria and other communicable diseases; ensure environmental sustainability; and develop a global partnership for development.